Pseudo bubo is seen in –
1. Donovanosis
2. LGV
3. Chancroid
4. Syphilis

Correct answer: 1. Donovanosis

Explanation: In donovanosis there are subcutaneous granulomas in inguinal region, which look like enlarged lymph nodes, but they are not enlarged lymph nodes. So, they are referred to as pseudobubo.